Which of the following neural mechanisms is not involved in synaptic plasticity and learning?
1. Post-tetanic potentiation
2. Habituation
3. Desensitization
4. Long-term depression

Correct answer: 3. Desensitization

Explanation: Sensitization is a neural mechanism involved in synaptic plasticity and learning (not desensitization). Neural basis of synaptic plasticity and learning Post-Tetanic Potentiation Production of enhanced postsynaptic potential, which occurs after a brief tetanizing train of stimuli in the presynaptic neuron. This enhancement lasts upto 60 seconds. Habitutation A simple form of learning in which neural stimulus is repeated many times untill the subject becomes habituated to the stimulus and ignores it. A classical example of non-associative learning (e.g., learning a fact by heart) Sensitization: The opposite of Habituation Long-term potential (LTP) A raidly developing persistent enhancement of the post-synaptic potential response to presynaptic stimulation, after rapidly repeated stimulation of presynaptic neuron Characteristically observed in the hippocampus Long-term Depression: Is the opposite of LTP Characterized by a decrease in synaptic strength. Produced by slower stimulation of presynaptic neuron. May be involved in the neural mechanism by which learning occurs in the cerebellum. Ref: Ganong's Review of Medical Physiology 25th edition Pgno: 286-287